The most common site of a benign (peptic) gastric ulcer is:
1. Upper third of lesser curvature
2. Greater curvature
3. Pyloric antrum
4. Lesser curvature near incisura angularis

Correct answer: 4. Lesser curvature near incisura angularis

Explanation: Answer is D (Lesser Curvature near incisura angularis) The most common site of gastric ulcers (benign) is on the lesser curvature straddling the incisura angularis.